The alveoli are filled with exudate. The air is displaced, converting the lung into a solid organ. This description suggests-
1. Chronic bronchitis
2. Bronchial asthma
3. Bronchiectasis
4. Lobar pneumonia

Correct answer: 4. Lobar pneumonia

Explanation: • ‘Bacterial invasion of the lung parenchyma causes the alveoli to be filled with an inflammatory exudate, thus causing consolidation (“solidification”) of the pulmonary tissue’…..Robbins definition of pneumonia